A man connected to a body plethysmograph for estimation of FRC inspires against a closed glottis. Which of the following statements is true?
1. The pressure in both the lungs and the box increases
2. The pressure in both the lungs and the box decreases
3. The pressure in the lungs decreases, but that in the box increases
4. The pressure in the lungs increases, but that in the box decreases

Correct answer: 3. The pressure in the lungs decreases, but that in the box increases

Explanation: Plethysmography measures changes in volume in different areas of your body. It measures these changes with blood pressure cuffs or other sensors. These are attached to a machine called a plethysmograph. Plethysmography is especially effective in detecting changes caused by blood flow. It can help your doctor determine if you have a blood clot in your arm or leg. It can also help your doctor calculate the volume of air your lungs can hold Ref: guyton and hall textbook of medical physiology 12 edition page number:316,317,318